'Fortification spectra' are feature of
1. Mature cataract
2. Immature cataract
3. Amaurosis Fugax
4. Migraine

Correct answer: 4. Migraine